Which is the investigation of choice in assessing hearing loss in infants:
1. Impedance audiometry
2. Brainstem evoked response audiometry (BERA)
3. Free field audiometry
4. Behavioural audiometry

Correct answer: 2. Brainstem evoked response audiometry (BERA)

Explanation: (b) BERA(Ref Cummings, 6th ed., 2078)Since BERA is an objective test and it tests the electrical activity occurring in the whole of theauditory pathway, it is the investigation of choice here.Impedance audiometry is also objective but it is limited to middle ear pathologies which are usually not the cause of deafness at this age.In Free field and behavioural audiometry auditory signals are presented to infants and children and their change in behaviour is observed.